In an adult patient with plural effusion, the most appropriate site for plurisentesis done by inserting a needle is in:
1. 5th intercostals space in midclevicular line
2. 7th intercostal space in mid axillary's bone
3. 2nd intercostals space adjacent to the sternum
4. 10th intercostal space adjacent to the vertebral column

Correct answer: 2. 7th intercostal space in mid axillary's bone

Explanation: Answer is B (7th Intercostal space in mid axillary line): Site of pleural effusion drainage is seventh intercostal space in mid-axillary line. Pneumothorax